Which of the following microorganism is incriminated in infection after hemodialysis
1. Gram positive organisms
2. Chlamydia
3. Gram negative
4. Anaerobes

Correct answer: 1. Gram positive organisms

Explanation: Hemo-dialysis catheter-related bloodstream infections (CRBSIs) are a major complication of long-term catheter us in HD. Gram positive organism are seen followed by gram negative organisms.
Similarly in peritoneal dialysis, the clinical presentation typically consists of pain and cloudy dialysate, often with fever and other constitutional symptoms. The most common culprit organisms are gram-positive cocci, including staphylococcus, reflecting the origin from the skin. Gram-negative rod infections are less common; fungal and mycobacterial infections can be seen in selected patients, particularly after antibacterial therapy.
In cases where peritonitis is due to hydrophilic gram negative rods (g.g., Pseudomonas sp.) or yeast, antimicrobial therapy is usually not sufficient, and catheter removal is required to ensure complete eradication of infection. Nonperitonitis catheter-associated infections (often termed tunnel infections) vary widely